Commonest site of epistaxis is:
1. Bony septum
2. Little's area
3. Superior turbinate
4. Lateral wall of nose

Correct answer: 2. Little's area

Explanation: Ans: b (Little's area)Ref: Dhingra E.N.T. 3rd/e p. 217 & 2nd/e p. 176